A post graduate trainee could not deliver seminars and presentations, fearing his seniors despite knowing that they are supportive. He has difficulty speaking in front of others and also avoids going to the parties and college outings. The most likely diagnosis is he is suffering from:
1. Agoraphobia
2. Depressive disorder
3. Social phobia
4. Panic disorder

Correct answer: 3. Social phobia

Explanation: Ans. C. Social phobiaHere the fear is performing in public and there is also avoidance of social situations (i.e. avoidance of parties).